Function of odland bodies is
1. Antigen presenting cell
2. Epidermal barrier mechanism
3. Filament aggregation
4. None of the above

Correct answer: 2. Epidermal barrier mechanism

Explanation: Stratum spinosum It is named for the "spiny" appearance of intercellular desmosomal connections on microscopy. It Contain multiple types of intercellular junctions . Keratins 1 and 10 made here. Odland bodies (lamellar granules) are produced by Golgi bodies in spinous layer. It Primarily contain ceramide (most important lipid involved in epidermal barrier function; the most prevalent/important lipid in the stratum spinosum), along with glycoproteins, glycolipids, and phospholipids. They Are specialized lysosomes that exert most of their action in the stratum corneum, by discharging ceramides and other lipids to the extracellular space of the junction between the stratum granulosum and stratum corneum ceramides help form the cornified cell envelope, and eventually replace the cell membrane. Ref:- Review of Dermatology by Alikhan; pg num:-2